Root value of supinator jerk is
1. C3 C4
2. C4 C5
3. C5 C6
4. C8 T1

Correct answer: 3. C5 C6

Explanation: Ref - Researchgate.net